Okazaki fragments are formed during the synthesis of:
1. ds DNA
2. ss DNA
3. m RNA
4. t RNA

Correct answer: 1. ds DNA

Explanation: Okazaki fragments are short segment of DNA synthesised on lagging strand, during the process of replication of a double stranded DNA. Ref: Biochemistry By Mary K. Campbell, Shawn O. Farrell, 7th Edition, Pages 258, 275; Harper Textbook of Biochemistry, 27th Edition, Pages 335-37; Lewin's Genes X By Benjamin Lewin, Page 341; Lippincott's Biochemistry, 4th Edition, Page 406; Microbial Genetics, Page 154